Pauwel's classification is used for:
1. Fracture scaphoid
2. Fracture neck of radius
3. Fracture neck of femur
4. Fracture neck of talus

Correct answer: 3. Fracture neck of femur

Explanation: Ans. C i.e. Fracture neck of femur Classification Type I: Pauwels' angle less than 30 degrees Type II: Pauwels' angle between 30 and 70 degrees Type III: Pauwels' angle more than 70 degrees Explanation Pauwels observed that the obliquity of the fracture line with the horizontal plane significantly affected the prognosis of the fracture. The angle formed by extending the fracture line upwards to meet an imaginary horizontal line drawn through the transtubercular (iliac crest) plane on AP film is described as "Pauwels' angle." The higher the value of this angle, the greater is the instability of the fracture.